Cold sterilization refers to the process of sterilization by use of
1. ultra violet rays
2. Ultrasonic vibrations
3. Infrared rays
4. Gamma rays

Correct answer: 4. Gamma rays